Which of the following statements is NOT TRUE about NSAIDs ?
1. Acetyl salicylic acid is an irreversible inhibitor of COX enzyme.
2. Acetylsalicylic acid reduces in vivo synthesis of prostaglandins.
3. Its clearance is independent of plasma concentration
4. Antiplatelet effect of low dose aspirin is related to pre-systemic COX inhibition

Correct answer: 3. Its clearance is independent of plasma concentration